M/C site of ureteric injury during hysterectomy
1. Pelvic brim
2. Where it is crossed by uterine artery
3. Where it enters the bladder
4. Where it is over obturator vessels

Correct answer: 2. Where it is crossed by uterine artery

Explanation: The injury to ureter occurs at the infundibulopelvic junction on the lateral pelvic wall, in the ureteric canal when the uterine vessels are ligated, near the internal cervical os and near the uterosacral ligamentIt is important to identify the ureter during Wertheim hysterectomy, broad ligament tumour dissection and ligating internal iliac arteryRef: Shaw's Textbook of Gynaecology, 15th edition, page no: 14